Joint between sphenoid & vomer is ?
1. Gomphosis
2. Syndesmosis
3. Symphysis
4. Schindylesis

Correct answer: 4. Schindylesis

Explanation: Ans. is 'd' i.e., SchindylesisVomer-sphenoid rostrum junction is schindylesis type of suture.Fibrous joints 1. SuturesPlane sutures : Intranasal suture, median palatine suture.Serrate (limbus) suture : Sagittal suture (interparietal suture).Denticulate suture : Lambdoid suture (parieto-occipital suture), coronal suture (fronto-parietal suture). iv)Squmous suture : Temporo-parietal suture.Schindylesis : Vomer-sphenoid rostrum junction. 2. Syndesmosis : Interosseous radio-ulnar joints, interosseous tibiofibular joints, inferior tibiofibular joints, joints between adjacent laminae of vertebrae, tympano-stapedial joint and posterior part of SI joint. 3. Gomphoses : Root of the tooth in its bony socket.